About the treatment of esophageal cancer, false statement is:
1. 5% of patients survive 5 years after the diagnosis
2. The efficacy of primary radiation therapy for squamous cell carcinomas is similar to that of radical surgery
3. Surgical resection of all gross tumor is feasible in only 45% of cases
4. Chemotherapy is highly effective and sometimes curable

Correct answer: 4. Chemotherapy is highly effective and sometimes curable

Explanation: ESOPHAGEAL CARCINOMA: The prognosis is poor. 5% of patients survive 5 years after the diagnosis Surgical resection of all gross tumor is feasible in only 45% of cases About 20% of patients who survive a total resection live 5 years. The efficacy of primary radiation therapy for squamous cell carcinomas is similar to that of radical surgery Combination chemotherapy and radiation therapy seems to be beneficial. For the incurable patient with esophageal cancer, dysphagia, malnutrition, and the management of tracheoesophageal fistulas are major issues. Ref: Harrison, E-18, P-765